Humero- Femoral index is used for
1. Stature from long bones
2. Age
3. Sex
4. Race

Correct answer: 4. Race

Explanation: Various indices for race determination Cephalic Index from skull indices of long bones: Brachial index (Radio-humeral index) Intermembral index Humero-femoral index Crural index (Tibio-femoral index) Brachial index = (Length of Radius/Length of Humerus) x 100 Crural index = (Length of Tibia/Length of Femur) x 100 Humero-femoral index = (Length of Humerus/Length of Femur) x 100 Intermembral index = (Length of Humerus + Radius/Length of Femur + Tibia) x 100